What is the treatment of choice in pregnant women with polyhydramnios and marked respiratory distress at 35 weeks of gestation?
1. Intravenous frusemide
2. Induction of labour
3. Amniocentesis
4. Artificial rupture of membranes

Correct answer: 3. Amniocentesis

Explanation: In this clinical scenario amniocentesis is done to relieve the distress and to continue the pregnancy upto term. Slow decompression is done at a rate of about 500ml per hour. Normally 1-1.5litres of amniotic fluid is removed. Because of slow decompression there is less chance of accidental hemorrhage, but fluid can reaccumulate soon. So amniocentesis has to be repeated. Ref: Textbook of Obstetrics By D.C.Dutta, 6th Edition, Pages 215-7